Blood is stored at what temperature:
1. 4degC
2. -20degC
3. -70degC
4. Room temperature

Correct answer: 1. 4degC

Explanation: Ans. 4degC